Maternal chromosome 15 disomy results in
1. Prader Willi Syndrome
2. Fragile x syndrome
3. Marfan's syndrome
4. Angelman Syndrome

Correct answer: 1. Prader Willi Syndrome